Dohlman's operation is related to -
1. Carcinoma esophagus
2. Carcinoma larynx
3. Zenker's diverticulum
4. Nasal carcinoma

Correct answer: 3. Zenker's diverticulum